Fundoscopic featuresof papilledema indude all the following except -
1. Ill- defined disc margin
2. Deep physiological cup
3. Absent venous pulsation
4. Bending of blood vessels

Correct answer: 2. Deep physiological cup

Explanation: Clinical features of papilloedema can be described under four headings. 1.Early papilloedema. 2.established papilloedema 3.chronic or long standing 4.atrophic papilloedema Clinical features include: *obscuration of disc margin.Absence of venous pulsation at disc. Physiological cup of optic is obliterated. Multiple cotton wool spots and superficial haemorrhages . Veins become tortuous and engorged. Paton's lines